Non modifiable risk factor for hypertension-
1. Gender
2. Obesity
3. Salt intake
4. Cultural characteristic acquired over time

Correct answer: 1. Gender

Explanation: Ans. is 'a' i.e., Gender Risk factors for hypertensionNon modifiable Modifiableo Ageo Overweighto Gendero High sodium intakeo Genetic factorso Low potassium intakeo Raceo Alcohol consumptiono Reduced physical activity